Inheritance pattern of G6PD:
1. AR
2. AD
3. X-linked
4. Familial

Correct answer: 3. X-linked

Explanation: Ans. (c) X-LinkedRef: Lippincott's Biochemistry 6th ed. P 151-152* G6PD deficiency is most common disease producing enzyme abnormality in humans* It is a X-linked disorder